The drugs which can be used safely in early pregnancy to treat rheumatoid arthritis are all except
1. Leflunomide
2. Sulfasalazine
3. NSAIDS
4. Adalimumab

Correct answer: 1. Leflunomide

Explanation: Methotrexate and Leflunomide are potential teratogenic drugs.